Which of the following is the first site of appearance of Rigor mortis after death?
1. Jaws
2. Eye lid
3. Facial muscles
4. Myocardium

Correct answer: 4. Myocardium

Explanation: Rigor mortis first appears in the myocardium followed by eyelids, facial muscles, neck, upper limbs and lower limbs. The small muscles of the toes and fingers are affected last. The Rigor mortis passes off in the same order of appearance. Ref: Textbook of Forensic Medicine and Toxicology by Narayan Reddy, Edition 23, Page 128-130